A 30 year old lady is to undergo surgery under intravenous regional anesthesia for her left 'trigger finger'. Which one of the following should not be used for patient?
1. Lignocaine
2. Bupivacaine
3. Prilocaine
4. Lignocaine + ketorolac.

Correct answer: 2. Bupivacaine

Explanation: B i.e. Bupivacaine